Clinical examination of a symptomatic patient shows Sister Mary Joseph nodule. It is MOST commonly seen with:
1. Ovarian cancer
2. Stomach cancer
3. Colon cancer
4. Pancreatic cancer

Correct answer: 2. Stomach cancer

Explanation: Sister Mary Joseph node is a metastasis manifesting as a periumbilical nodule secondary to abdominal or pelvic cancers. A Sister Mary Joseph node is commonly due to gastric carcinoma. Ref: Corbett S.W., Stack L.B., Knoop K.J. (2010). Chapter 7. Chest and Abdomen. In K.J. Knoop, L.B. Stack, A.B. Storrow, R.J. Thurman (Eds), The Atlas of Emergency Medicine, 3e